If pre-surgical movement of maxillary segments is indicated in a cleft infant, it is done beginning at:
1. 3 to 6 weeks of age
2. 10 to 12 weeks of age
3. 3 to 6 months of age
4. 10 to 12 months of age

Correct answer: 1. 3 to 6 weeks of age